What is the appropriate infusion time for the dialysate in your 38 y.o. patient with chronic renal failure?
1. 15 minutes
2. 30 minutes
3. 1 hour
4. 2 to 3 hours

Correct answer: 1. 15 minutes

Explanation: Dialysate should be infused quickly.
The dialysate should be infused over 15 minutes or less when performing peritoneal dialysis. 
The fluid exchange takes place over a period ranging from 30 minutes to several hours.